A newly posted junior doctor had difficulty in finding out base deficit/excess for blood in a given patient. An experienced senior resident advised a quick method to determine acid base composition of blood based on pCO2. Which of the following is the likely method he suggested to predict acid base composition of blood
1. Red ford nomogram
2. DuBio’s nomogram
3. Goldman constant field equation
4. Siggard-Andersen nomogram

Correct answer: 4. Siggard-Andersen nomogram

Explanation: Ref: Ganong 19/e p703 fig 39.8
 

Siggard-Anderson nomogram: plots the acid-base charecteristics of arterial blood
PCO2 is placed on the vertical axis and pH on the horizontal axis


Vertical line through pH 7.40: any point to the left denotes acidosis & any point to right denotes alkalosis
Horizontal line through p CO2 of 40 mmHg: point above or below this line defines the effective degree of hypo or hyperventilation